Adverse reaction following whole-cell pertussis immunization is
1. Fever
2. Anaphylaxis
3. Local swelling
4. All of the above

Correct answer: 4. All of the above

Explanation: The adverse effect of pertussis vaccine is (used in DPT)Local pain, swelling, rednessFeverConvulsionAnaphylaxisHypotensive, hyporesponsive episode(Refer: Nelson's Textbook of Pediatrics, SAE, 1st edition, pg no. 1381)